True about 1gM:
1. Is dimeric
2. Activates complement
3. Is not synthesized by fetus
4. Is the last to cross

Correct answer: 2. Activates complement

Explanation: Activates complement